A person is presumed to be dead, if not heard for 7 years comes under
1. Sec 165 IEA
2. Sec 165 IPC
3. Sec 108 IEA
4. Sec 108 IPC

Correct answer: 3. Sec 108 IEA

Explanation: Refer the byte "Legal sections".